Anti phospholipids syndrome characterized by all EXCEPT
1. Associated with SLE
2. Thrombocytopenia & Rash
3. Thrombotic disorders
4. Pancytopenia

Correct answer: 4. Pancytopenia

Explanation: D. i.e. (Pancytopenia) (343, 636. Dutta 6th) (1795 - H17th)ANTIPHOSPHOLIPID SYNDROME (1795 - HI7th)* Develops in patients expressing antibodies to anionic phospholipids particularly fi2 glycoprotein* Half of the patients have no obvious cause, a few are pregnant, some are already receiving hemodiolysis, or have a renal allograft, and the rest have a primary glomerulonephritis (Nil lesion or membranous nephropathy) or rheumatologic disease such as SLE*** Cutaneous ulcers in APS - (335 - H17th)Clinical Presentation* * Mixed thrombosis of the arterial and venous circulation* *Thrombocytopenia. Hemolytic anemia, deep vein thrombosis* *Transient ischemic attacks* * Pulmonary embolism* * Spontaneous abortionsCommon obstetric complications* Recurrent fetal loss* Placental abruption* IUGR* Recurrent thrombotic events* Pregnancy induced hypertension* Thrombocytopenia* The mainstay of treatment for APS is Warfarin*** NBTE (Marantic endocarditis) uninfected vegetation seen in patients with malignantly and chronic disease) and to bland vegetations complicating SLE and APS (790 - HI7th)ANDROGEN INSENSITIVITY SYNDROME OR TESTICULAR FEMINIZATION SYNDROMEMost common form of male sex, 46XY*, ovary absent* Testes may be inguinal or intra- abdominal, Girls grows tall and attractive, Normal breast, Virilism is absent Pubic hair and axillary- hair are scanty (or absent**, short vagina may be present*, clitoris is normal in size.